Stereotactic surgery is used for treatment of:
1. Brain tumor
2. Lungs carcinoma
3. Cervix cancer
4. Renal carcinoma

Correct answer: 1. Brain tumor

Explanation: Ans. a. Brain tumor (Ref: Sabiston 19/e p1900-1902; Schwartz 9/e p1552-1553)Stereotactic surgery is used for treatment of Brain tumors.Stereotactic RadiosurgeryStereotactic radiosurgery involves the delivery of a concentrated dose of radiation to a defined volume in the brainQ.Two methods of frame-based stereotactic radiosurgery are currently widely used.Gamma knife uses cobalt-201Q radiation sources focused on one point.Modified linear acceleratorsQ deliver the radiation dose in multiple arcs, thereby minimizing the effect on surrounding brain tissue.Primary risks of stereotactic radiosurgery are radiation necrosis and radiation injury to surrounding structures.Common uses of Stereotactic Radiosurgery* Metastatic tumors* Arteriovenous malformationsQBenign lesions of the cranial nerves* Trigeminal neuralgia